Increase oxygen delivery to tissues in response to increased CO2 is-
1. Bohr effect
2. Haldane Effect
3. Hamburger effect
4. Chloride shift

Correct answer: 1. Bohr effect

Explanation: Ans. (a) Bohr effect(Ref: Ganong, 25th ed/p.641)The decrease in O2 affinity of hemoglobin when pH of blood falls (PCO2 rises) is called the Bohr effect. This leads to release of oxygen at tissues